The commonest organism seen in peritonitis is -
1. Escherichia coli
2. Clostridium welchii
3. Staphylococci
4. Klebsiella

Correct answer: 1. Escherichia coli

Explanation: Ans. is 'a' i.e., Escherichia coli